Most common pancreatic tumor in MEN-I is -
1. Gastrinoma
2. Insulinoma
3. Glucagonoma
4. Somatostatinoma

Correct answer: 1. Gastrinoma

Explanation: Neuroendocrine tumour frequency in MEN I 
Gastrinoma > Insulinoma > Glucagonoma > Somatostatinoma